It is true regarding Endemic typhus that -
1. Man is the only reservoir of infection
2. Flea is a vector of the disease
3. The rash developing into eschar is a characteristic presentation
4. Culture of the etiological agent in tissue culture is a diagnostic modality

Correct answer: 2. Flea is a vector of the disease

Explanation: Rats are the reservoirs. Rat flea is the vector. Rickettsial infection is characterised by fever , headache ,malaise, prostration,skin rash and enlargement of spleen and liver. Diagnostic procedures include isolation of rickettsiae, IFA, CFT, Weil Felix test , ELISA Reference; Park's Textbook of preventive and social medicine, 24th edition.Pg no. 317